Brushfield spot in iris is seen in -
1. Neurofibromatosis
2. Down syndrome
3. Tuberous sclerosis
4. Toxoplasmosis

Correct answer: 2. Down syndrome

Explanation: Brushfield spots are seen in Down syndrome. Pedunculated nodules are seen in Neurofibromatosis.